Which is the most prominent spinous process?
1. T
2. C7
3. C6
4. L5

Correct answer: 2. C7

Explanation: The 3rd to 6th cervical vertebrae are called typical and 1st, 2nd and 7th are called atypical cervical vertebrae. The spine of cervical vertebrae are usually short and bifid except for atypical hence C7 Ref guyton and hall textbook of medical physiology 12/e p75-76